At the same concentration of steroid which of the following is most potent?
1. Ointment
2. Lotion
3. cream
4. Gel

Correct answer: 1. Ointment

Explanation: The potency of a topical corticosteroid depends on the formulation. Potency is also increased when a formulation is used under occlusive dressing or in intertriginous areas. In general, ointments are more potent than creams or lotions.